What percentage of cold thyroid nodules are malignant?
1. 70-80%
2. 50-60%
3. 40-50%
4. 10-20%

Correct answer: 4. 10-20%

Explanation: Cold nodules (don’t take up radioactive iodine) are more likely to be malignant (15-20%) than hot (take up radioactive iodine) nodules (1-3%).